In "poverty lines" the expenditure required for a daily calorie intake of -- in rura areas-
1. 2200
2. 2400
3. 2100
4. 2300

Correct answer: 2. 2400

Explanation: Ans. is 'b' i.e., 2400 Also know Wealth index o The "wealth index" is a composite measure of the cumulative living standard of a household. 3 The wealth index is calculated using easy-to-collect data on a household's uwenership of selected assets, such as televisions and bicycles, meterials used for housing construction, and types of water access and sanitation facilities. o Information on the wealth index is based on data collected in the household questionaire. o After collecting data, various statistical procedures are used to create break points that define wealth quintiles as:- i) Lowest (first) quintile ii)Second quintile iii) Third quintile iv) Fourth quintile v) Highest quintile o The distribution of the population across wealth quintiles show large variation across states : -I. Delhi has maximum population in highest wealth quintile (70% of population). 2. Jharkhand has maximum population in lowest wealth quintile (49.6% of population).